GABA-B receptors are -
1. G-protein coupled receptors
2. Intrinsic ion channel
3. Enzyme linked receptors
4. Ligand gated ion channels

Correct answer: 1. G-protein coupled receptors

Explanation: Ans: A. G-protein coupled receptors(Ref : KDT //e p. 399, 402 6 6h/e p. 395; Katzung 17th/e p' 377-378; lP/e p' 355)GABA-A receptors:Intrinsic Cl- channets and when open cause increase in CI- conductance and CNS depression.GABA-B receptors:G-protein coupled receptors.Baclofen is agonist and saclofen is antagonist on these receptors.